A patient diagnosed with papillary carcinoma of thyroid underwent whole body iodine scan 6 weeks after surgery, which revealed residual disease. Next best step is :
1. Surgical removal of residual disease
2. User neck + Serum thyroglobulin level, check for
3. Radioiodine ablation
4. FNAC of the residual tissue F/B radioiodine ablation

Correct answer: 3. Radioiodine ablation

Explanation: Post operative follow up protocol.